Regarding placenta previa all are true except
1. Painless bleeding per vaginum
2. P V examination contraindicated
3. Recurrent in same pregnancy
4. Stallworthy sign seen in all varieties

Correct answer: 4. Stallworthy sign seen in all varieties

Explanation: Stallworthy sign is fetal distress seen in posterior varieties of placenta previa.